Most sensitive investigation to see intracranial bleed in a patient with head injury -
1. MRI
2. X-ray
3. CT-scan
4. Ultrasound

Correct answer: 3. CT-scan

Explanation: Ans. is 'c' i.e., CT-scan o Has been explained in previous session